Bandl's ring is also called as:
1. Constriction ring
2. Schroeder's ring
3. Retraction ring
4. Cervical dystocia

Correct answer: 3. Retraction ring